Immune mediated qualitative drug intolerance is called:
1. Super sensitivity
2. Idiosyncrasy
3. Hypersensitivity
4. Hyper acidity

Correct answer: 3. Hypersensitivity

Explanation: Drug allergy (hypersensitivity)
It is an immunologically mediated reaction producing stereotype symptoms which are unrelated to the pharmacodynamic profile of the drug. The symptoms may appear even with much smaller doses and have a different time course of onset and duration. This is also called drug hypersensitivity; but does not refer to increased response, which is called super sensitivity. The target organs primarily affected in drug allergy are skin, airways, blood vessels, blood cells and gastrointestinal tract. Allergic reactions occur only in a small proportion of the population exposed to the drug and cannot be produced in other individuals at any dose.
Prior sensitization is needed and a latent period of at least 1- 2 weeks is required after the first exposure. However, the sensitizing exposure may go unnoticed or may be environmental.
Reference: Essentials of Medical Pharmacology Eighth Edition KD TRIPATHI  page no 96